All the muscles are derived from the pharyngeal arches except
1. Tensor tympani
2. Levator palpctore superiors
3. Palantine tensor
4. Orbiculan's oculi

Correct answer: 2. Levator palpctore superiors

Explanation: Levator palpetore superioris - muscle of orbit.